Chronic Burrowing ulcer is caused by:
1. Microaerophilic streptococci
2. Peptostreptococcus
3. Streptococcus viridans
4. Streptococcus pyogenes

Correct answer: 1. Microaerophilic streptococci

Explanation: Microaerophilic streptococci ''This type of ulcer is due to symbiotic action of tnicroaerophilic non-haemolytic streptococci and haemolytic staphylococcus aureus" - S. Das Chronic burrowing ulcers or Meleney's ulcers are seen in the post-operative wounds either after the operation for perforated viscus or for drainage of empyema thoracis. Clinicaly it is an undermined ulcer with lot of granulation tissue in the floor. This condition is painful, toxaemic, and the general condition deteriorates without treatment. Textbook of Surgery by ljazAhsan writes -"The microaerophilic streptococcus causes infections that develop slowly. Chronic burrowing ulcer and chronic cutaneous gangrene are good examples. Radical drainage is necessary .for cure, antibiotics alone being useless."